All are tocolytics except:
1. Ritodrine
2. Salbutamol
3. Isoxsuprine
4. Misoprostol

Correct answer: 4. Misoprostol